Tensor tympani muscle inserts at:
1. Head of Malleus
2. Neck of Malleus
3. Handle of malleus
4. Lateral Process of Malleus

Correct answer: 3. Handle of malleus

Explanation: The tensor tympani arises from the cartilaginous portion of the auditory tube, and the adjoining part of the great wing of the sphenoid, as well as from the osseous canal in which it is contained. Passing backward through the canal, it ends in a slender tendon which enters the tympanic cavity, makes a sharp bend around the extremity of the septum, known as the processus cochleariformis, and is inserted into the handle of malleus. Its role is to dampen loud sounds, such as those produced from chewing, shouting, or thunder.